Which of the following structure is NOT present at birth?
1. Ethmoid sinus
2. Mastoid tip
3. Incus
4. Malleus

Correct answer: 2. Mastoid tip

Explanation: Mastoid tip is absent at the time of birth but mastoid antrum is present. Postnatally, mastoid air cells develop leading to formation of mastoid process (by about 2 years ago). At birth, only the maxillary and ethmoidal sinuses are present and are large enough to be clinically significant. Malleus and incus are derived from Meckel's cartilage of the first branchial (pharyngeal) arch before birth. .